What is the drug of choice to control supraventricular tachycardia :
1. Adenosine
2. Propranolol
3. Verapamil
4. Digoxin

Correct answer: 1. Adenosine

Explanation: Answer is A (Adenosine) Drug of choice to control supraventricular tachycardia is adenosine.